The most important feature of the following opioid analgesic is high oral parenteral activity ratio (1:2):
1. Morphine
2. Oxymorphine
3. Methadone
4. Diacetylmorphine

Correct answer: 3. Methadone